True regarding congenital rubella syndrome are all except:-
1. Infants of congenital rubella syndrome can shed virus in respiratory secretions upto 1 year of age
2. Risk of developing diabetes mellitus is considerably higher in congenital rubella syndrome
3. Cataract in CRS is always bilateral
4. Risk of congenital defects is high when fetus is infected during the first trimester

Correct answer: 3. Cataract in CRS is always bilateral

Explanation: Cataract can be unilateral or bilateral.